Small yellowish elevation on the surface of the mucosa is :
1. Fordyce's spots.
2. Lines Alba.
3. Traumatic ulcer.
4. Lichen planus.

Correct answer: 1. Fordyce's spots.

Explanation: In many areas of lining mucosa, especially the labial and buccal mucosa, are Fordyce's spots or granules. These spots are a normal variant, visible as small, yellowish elevations on the surface of the mucosa.